Thyroxine binding globulin (TBG) is increased in:
1. Glucocorticoid therapy
2. Nephrotic syndrome
3. Pregnancy
4. Cancer chemotherapy

Correct answer: 3. Pregnancy

Explanation: TBG concentration increases in (conditions of high estrogen levels) such as: pregnancy oral contraceptives. TBG concentration is decreased by: Hormones ( androgens, glucocorticoids;) Malnutrition nephrotic syndrome cancer chemotherapy. Drugs, such as phenytoin, salicylates.